Classical cesarean section in indicated in a patient with :
1. Previous cesarean section
2. Placenta previa
3. Carcinoma cervix
4. Shoulder presentation

Correct answer: 3. Carcinoma cervix

Explanation: Carcinoma cervix